Osteoclastoma arises from which part of bone?
1. Epiphysis
2. Metaphysis
3. Diaphysis
4. All the above

Correct answer: 1. Epiphysis

Explanation: OSTEOCLASTOMA (GIANT CELL TUMOUR) Giant cell tumour (GCT) is a common bone tumour with variable growth potential. Though generally classified as benign*, it tends to recur after local removal. The tumour is seen commonly in the age group of 20-40 years i.e., after epiphyseal fusion. The bones affected commonly are those around the knee i.e., lower-end of the femur and upper-end of the tibia. Lower-end of the radius is another common site. The tumour is located at the epiphysis**. It often reaches almost up to the joint surface. Common presenting complaints are swelling and vague pain Reference: Maheshwari; Essential Orthopaedics; Page no: 237